Fundoscopic examination of a child shows "pepper and salt" appearance. This finding is pathognomonic of:
1. Eale's disease
2. Toxocariasis
3. Congenital syphilis
4. Leprosy

Correct answer: 3. Congenital syphilis

Explanation: Ocular lesions of congenital syphilis: Interstitial keratitis Iridocyclitis Chorioretinitis Congenital syphilitics occasionally show a dusty discrete pigmentation of the retina at the periphery where a multitude of black and white spots appear ('pepper-and-salt' fundus). Ref: Parsons' Diseases of the Eye By Ramanjit Sihota & Radhika Tandon, 21st edition, Page 317.